What is the disadvantage of using composites as restorative material?
1. Increased thermal conductivity
2. Decreased wear resistance
3. Decreased thermal conductivity
4. none of the above

Correct answer: 2. Decreased wear resistance